Sarcoma botryoides is MOST COMMONLY seen in:
1. Neonates
2. Children under 3 years
3. Adults
4. Postmenopausal woman

Correct answer: 2. Children under 3 years

Explanation: Sarcoma botryoides is commonly found in girls less than 3 years of age. This tumor usually involves the vagina. In a child it presents as vaginal bleeding and when it occur in teenagers it presents as irregular bleeding. The gross specimen can exhibit multiple polyp-like structures or can be a solitary growth with a nodular, cystic, or pedunculated appearance. In women of reproductive age group it is seen in the cervix and in postmenopausal women it occur in the cervix. Ref: Bauman D. (2013). Chapter 37. Pediatric & Adolescent Gynecology. In A.H. DeCherney, L. Nathan, N. Laufer, A.S. Roman (Eds), CURRENT Diagnosis & Treatment: Obstetrics & Gynecology, 11e. Hoffman B.L., Schorge J.O., Schaffer J.I., Halvorson L.M., Bradshaw K.D., Cunningham F.G., Calver L.E. (2012). Chapter 32.